Prolactin - releasing factors include all except
1. Vasopressin
2. Vasoactive intestinal peptide
3. Dopamine
4. Acetylcholine

Correct answer: 3. Dopamine

Explanation: Prolactin-release is regulated mainly by inhibition, specifically by dopamine.